Analysis of visual detail occurs in which secondary visual area?
1. Brodmann's area 18
2. Inferior ventral and medial regions of the occipital and temporal cortex
3. Frontal lobe
4. Occipitoparietal cortex

Correct answer: 2. Inferior ventral and medial regions of the occipital and temporal cortex

Explanation: Visual information from the primary visual cortex (Brodmann's area 17) is relayed to Brodmann's area 18 and then into other areas of the cerebral cortex for further processing. Analysis of three-dimensional position, gross form, and motion of objects occurs in the posterior midtemporal area and occipitoparietal cortex. Analysis of visual detail and color occurs in the inferior ventral and medial regions of the occipital and temporal cortex.